An 18 year old patient presents with neck swelling which moves with deglutition . What is your diagnosis?
1. Dermoid cyst
2. Branchial cyst
3. Thyroglossal cyst
4. Cervical lymphadenopathy

Correct answer: 3. Thyroglossal cyst

Explanation: Thyroglossal Cyst - Congenital - Age of presentation - 15-30 years - There is cyst in connection to thyroid and tongue. So, on protrusion of tongue, the cyst moves up - MC location - Subhyoid - Other common locations * Suprahyoid * Near thyroid cartilage * Near Foramen cecum * In floor of mouth =Clinical features - Midline swelling in anterior part of neck - Thyroglossal cyst moves with deglutination - Moves up on protrusion of tongue =Complications of Thyroglossal cyst - Infection - Abscess - if Incision and Drainage - Thyroglossal fistula (Acquired condition due to I & D of abscess of thyroglossal cyst) - Increased risk of papillary carcinoma of thyroid =Treatment - TOC - Sistrunk operation. The cyst passes body of hyoid bone - so excision is made - Enbloc removal of central part of body of hyoid bone + cyst